The action of putrefactive bacteria on necrotic tissue results in
1. Infarction
2. Embolism
3. Gangrene
4. Coagulation

Correct answer: 3. Gangrene

Explanation: Gangrene Gangrene is necrosis of tissue associated with superadded putrefication, most often following coagulative necrosis due to ischemia.